Which adenovirus types are causes of infantile diarrhoea
1. Types 3, 4, 7
2. Types 8, 19, 37
3. Types 40, 41
4. Types 37

Correct answer: 3. Types 40, 41

Explanation: Type 40, 41 cause Infantile diarrhoea
Type 3, 4, 7, 14 cause pharyngo conjunctival fever
Type 31 - STD
Type 8, 19, 37 cause epidemic kerato conjunctivitis